Muscle involved in congenital torticollis:
1. Deltoid
2. Sternocleidomastoid
3. Digastricd
4. Mylohyoid

Correct answer: 2. Sternocleidomastoid

Explanation: Most cases of congenital torticollis are a result of excessive stretching of the sternocleidomastoid muscle during a difficult labor.Hemorrhage occurs into the muscle and may be detected as a small, rounded during the early weeks after birth. Later, this becomes invaded by fibrous tissue, which contracts and shortens the muscle.The mastoid process is thus pulled down toward the sternoclavicular joint of the same side, the cervical spine is flexed, and the face looks upward to the opposite side.If left untreated, asymmetrical growth changes occur in the face, and the cervical vertebrae may become wedge shaped. Spasmodic TorticollisSpasmodic torticollis, which results from repeated chronic contractions of the sternocleidomastoid and trapezius muscles, is usually psychogenic in origin. Section of the spinal part of the accessory nerve may be necessary in severe cases.